Hyaline membrane in the lung is seen in ?
1. Respiory distress syndrome
2. Pulmonary edema
3. Pneumococcal Pneumonia
4. Acute viral hepatitis

Correct answer: 1. Respiory distress syndrome

Explanation: Ans. is 'a' i.e., Respiratory distress syndrome